A 25 years old female with history of multiple contacts presenting with growth on vulva, the probable diagnosis is :
1. Conyloma accuminata
2. Verruca plana
3. Verruca vulgaris
4. Condyloma lata

Correct answer: 1. Conyloma accuminata

Explanation: Conyloma accuminata